Super antigen is produced by all the following except:
1. Mycoplasma arthridis
2. Enterotoxin - A of food poisoning
3. Malassezia furfur
4. Enterococcus fecalis

Correct answer: 4. Enterococcus fecalis

Explanation: Enterococcus fecalis is not a super antigen.